All are true about marasmus except:
1. Normal albumin levels
2. Severe wasting of muscles
3. Edema
4. Depleted subcutaneous fat

Correct answer: 3. Edema

Explanation: Ans. C: Edema Edema is a feature of Kwashiorkar; it ranges from mild to gross, and may represent upto 5-20% of the body weight Remember: Acute malnutrition is judged by: Weight for height Chronic malnutrition is judged by: Height for age Flag sign is seen in Kwashiorkar (hair is thin, brittle, lusterless, sparse, easily pluckable and hypopigmented) Hepatomegaly may be associated with Kwashiorkar